Osteoclasts remove bone a which of the following sites?
1. Howships lacunae
2. Resorption bays
3. Both the above
4. None of the above

Correct answer: 3. Both the above

Explanation: Ans, is 'c' i.e.. Both the above Osteoclastso These are bone removing cells.o They are found in relation to surfaces where bone removal is taking place. (Bone removal is essential for maintaining the proper shape of growing bone). At such locations the cells occupy pits called resorption bays or lacunae of Hows hip.o Osteoclasts are very large cells (20 to 100 m or even more in diameter). They have numerous nuclei: up to 20 or more. The cytoplasm shows numerous mitochondria and lvsosomes containing acid phosphatase.o At sites of bone resorption the surface of an osteoclast shows many folds that are described as a ruffled membrane.o Removal of bone by osteoclasts involves demineralisation and removal of matrix.o Bone removal can be stimulated by factors secreted by osteoblasts, by macrophages, or by lymphocytes. It is also stimulated by the parathyroid hormone.o Recent studies have shown that osteoclasts are derived from monocytes of blood.o It is not certain whether osteoclasts are formed by fusion of several monocytes, or by repeated division of the nucleus, without division of cytoplasm.